A girl on sulphonamides developed abdominal pain and presented to emergency with a seizure. What is the probable cause?
1. Acute intermittent porphyria
2. Congenital erythropoietic porphyria
3. Infectious mononucleosis
4. Kawasaki's disease

Correct answer: 1. Acute intermittent porphyria